Second swallowing in barium meal studies is found in?
1. Pharyngeal pouch
2. Achalasia cardia
3. Scleroderma
4. Reflux esophagitis

Correct answer: 1. Pharyngeal pouch

Explanation: Ans. is 'a' i.e., Pharyngeal pouch